In a chronic alcoholic patient all of the following drugs should be avoided except ?
1. Cefamendole
2. Metronidazole
3. Chlorproparnide
4. Beclomethasone

Correct answer: 4. Beclomethasone

Explanation: Ans. is 'd' i.e., Beclomethasone